Which is true of endometriosis :
1. Always associated with tubal blood
2. Painful
3. Amenorrhoea
4. Surgery Is curative

Correct answer: 2. Painful

Explanation: Painful